Local Anaesthetic in wound/ulcer management?
1. Prilocaine
2. Chlorprocaine
3. Benzocaine
4. Bupivacaine

Correct answer: 3. Benzocaine

Explanation: Ans. is 'c' i.e., Benzocaine For management of wound/ulcer, local anaesthetic with topical anaesthetic action is used. Among the given options, only benzocaine has topical action.